Zellballen pattern on histopathology is observed in?-
1. GIST
2. Astrocytorna
3. Carotid body tumor
4. Retinoblastoma

Correct answer: 3. Carotid body tumor

Explanation: Zellballen pattern on histopathology is observed in Paraganglioma or Carotid body tumors. Zellenbalen- composed to nests of polygonal chief cells. Robbins basic pathology. 7th edition. page no. 789.